In thromboasthenia there is a defect in ?
1. Platelet aggregation
2. Platelet adhesion
3. Decreased ADP release
4. Desordered platelet secretion

Correct answer: 1. Platelet aggregation

Explanation: Ans. is 'a' i.e., Platelet aggregation Platelet adhesion o Platelet adhesion referes to the binding of platelets to subendothelial matrix. o Platelet membrane glycoprotein Ib-IX is essential for platelet adhesion to subendothelial matrix. Platelet aggregation Platelet aggregation referres to adherence of platelets to one another. Platelet membrane glycoprotein IM-11.1a helps in aggregation. Congenital dysfunction of platelet Bernard-soulier syndrome o Defect in platelet adhesion due to inherited deficiency of glycoprotein lb-IX. Glanzmann's thrombasthenia o Defect in platelet aggregation due to inherited deficiency of glycoprotein